Which of the following organism can cause luminescence in a post mortem of body?
1. Pseudomonas
2. Armillaria mellea
3. E. coli
4. Anaerobic bacteria

Correct answer: 2. Armillaria mellea

Explanation: Postmortem luminescence may be due to contamination by, Bacteria photobacterium fischeri Fungus armillaria mellea. Ref: Textbook Of Forensic Medicine And Toxicology: Principles And Practice By Vij, 3rd edition, Page 133-138.